The total volume of CSF is
1. 50 ml
2. 100 ml
3. 150 ml
4. 275 ml

Correct answer: 3. 150 ml

Explanation: In humans, the volume of CSF is about 150 mL and the rate of CSF production is about 550 mL/d. Thus the CSF turns over about 3.7 times a day.(Ref: Ganong's Review of Medical Physiology Twenty-Third Edition)